Commonest site of peptic ulcer is:
1. 1st part of duodenum
2. 2nd part of duodenum
3. Distal 1/3rd of stomach
4. Pylorus of the stomach

Correct answer: 1. 1st part of duodenum

Explanation: Ans. (a) 1st part of duodenumRef: Sabiston 19th Edition, Page 1199* Most common location 1st part of duodenum* Most common location in stomach is incisura angularis